Which of the following is not an example of unilateral fixed space maintainer
1. Distal Shoe
2. Band and loop
3. Nance arch
4. Crown and loop

Correct answer: 3. Nance arch

Explanation: Nance arch is a bilateral fixed space maintainer indicated when there is bilateral tooth loss in the maxilla.